A 3-week-old boy is brought to the physician by his parents, who report that he vomits forcefully immediately after nursing. Physical examination reveals an "olive-like" palpable mass and visible peristaltic movements within the infant's abdomen. What is the most likely cause of projectile vomiting in this infant?
1. Appendicitis
2. Congenital pyloric stenosis
3. Hirschsprung disease
4. Meconium ileus

Correct answer: 2. Congenital pyloric stenosis

Explanation: Infantile hypertrophic pyloric stenosis: - Associated with Trisomy 18 Trisomy 21 Exposure to erythromycin in 1st 2 weeks of life - Clinical features: Presents at 3-6 weeks after birth New onset regurgitation Nonbilious projectile vomiting after feeding - Diagnosis : by USG - Treatment: Pyloromyotomy Correct electrolyte imbalance before performing surgery.